The cricoid pressure applied should approximately have following pressure-
1. 20 N
2. 30 N
3. 40 N
4. 5 N

Correct answer: 2. 30 N

Explanation: Cricoid pressure describes the backward displacement of the complete cartilaginous cricoid ring against the cervical vertebrae to occlude the hypopharynx. The technique usually involves the application of a 10 N force before induction; increasing this force to 30 N on loss of consciousness. Thirty Newtons are considered enough to maintain a barrier pressure, but minimize airway obstruction or distortion. It should be removed immediately if active vomiting occurs as there is a risk of oesophageal rupture.